According to Alonso-Lej classification, type IVb is
1. Both extrahepatic and intrahepatic duct dilation
2. Extrahepatic duct dilation
3. Intrahepatic duct dilation
4. Subhepatic duct dilation

Correct answer: 2. Extrahepatic duct dilation

Explanation: TodaniModification of Alonso-Lej classification Type I - Dilation of extrahepatic biliary tree Type Ia- cystic dilation Type Ib - focal segmental dilation Type Ic- fusiform dilation Type II - Diverticular dilation of extrahepatic biliary tree Type III - Cystic dilation of intra duodenal portion of common bile ducts (choledochocele) Type IVA- Dilation of the extrahepatic and intrahepatic biliary tree Type IVB- Dilation of multiple secretion of extrahepatic bile ducts Type V - Dilation confined to intrahepatic bile ducts (caroli's disease) Type VI - Cystic dilation of cystic duct (not included in Todani's modification) Ref: Sabiston 20th edition Pgno :1510-1511